T cell migration occurs to tonsil occurs at intrauterine age of:
1. 6 - 7 weeks
2. 10 - 11 weeks
3. 14 - 15 weeks
4. 18 - 19 weeks

Correct answer: 4. 18 - 19 weeks

Explanation: Ans: d (18-19 wks)Ref: Human Embryology by I B Singh, 8th edi., Pg. 147\IU ageDevelopmental events4 weeks2 lateral lingual swellings & tuberculum impar5 weeksHypobranchial eminence6 weeksDental lamina of upper & lower jaw7 weeksSalivary glands8 weeksEnamel organs3 monthsFormation of tonsil5 monthsTonsil infiltrated by lymphatic tissue6 monthsTongue formation complete